Most common complication of Caldwell-Luc operation is
1. Oroantral fistula
2. Orbital cellulitis
3. Hemorrhage
4. Infraorbital nerve palsy

Correct answer: 4. Infraorbital nerve palsy

Explanation: M/C Complication of Caldwell-Luc operation is injury to infraorbital nerve which occurs is 21 % cases. Ref:- Scott Brown 7th edition; pg num:- 1494